Blue-green pus in burns patients is indicative of ------ cellulitis
1. Pseudomonas
2. Staphylococcus
3. Klebsiella
4. E.coli

Correct answer: 1. Pseudomonas

Explanation: In Burns patients, cellulitis with blue-green pus with grape-like odor is characteristic of Pseudomonas aeruginosa infection.Ref: Jawetz; 27th edition; Page no: 247